The antidote of choice in paracetamol poisoning is :
1. Flumazenil
2. Sodium bicarbonate
3. N–acetylcysteine
4. Methylene Blue

Correct answer: 3. N–acetylcysteine